Which of the following statements about pneumothorax is true:
1. Breath sounds are increased
2. Percussion note is decreased
3. Always needs chest tube insertion
4. Often needs chest tube insertion

Correct answer: 4. Often needs chest tube insertion

Explanation: Answer is D (Often need chest tube insertion): Pneumothorax is associated with decreased breath sounds, hyperresonant (increased) percussion note. Chest tube drainage is often required but is not necessary in all cases. Many small pneumothoraces resolve spontaneously as air is reabsorbed from the pleural space. In reliable patients with small stable pneumothorax observation alone may be appropriate